What is the most common skeletal finding in cephalometric radiographs in a patient with a
history of cleft palate and anterior crossibte:
1. Maxillary retrusion
2. Mandibular protrusion
3. Mandibular retrusion
4. Maxillary protrusion

Correct answer: 1. Maxillary retrusion